Abdominal pain, fever and jaundice. This triad is known as;
1. Charcot's triad
2. Saint's triad
3. Virchow triad
4. Renault's triad

Correct answer: 1. Charcot's triad

Explanation: - Charcot's triad - abdominal pain + jaundice + fever. - Seen in Cholangitis. - For cholangitis to occur, the 2 essential factors are obstruction & infection. Predisposing factors for cholangitis: CBD stones (M.C) Stricture Cholangiocarcinoma Choledochal cyst Worms M.C organism responsible for CBD is E. coli > Klebsiella. M.C symptom - fever + chills. Inadequate treatment causes Reynold's pentad - Charcot's triad + shock + mental status changes.